In case of parathyroid adenoma T/t is -
1. Calcitonin and steroid
2. Removal of adenoma
3. Total parathyroidectomy and implantation in arm.
4. Total parathyroidectomy

Correct answer: 2. Removal of adenoma

Explanation: Ans is 'b' i.e. Removal of the adenoma